The major contribution to the human seminal fluid is from:
1. Testes
2. Seminal vesicles
3. Prostate
4. Bulbourethral and urethral glands

Correct answer: 2. Seminal vesicles

Explanation: Ans. is b, i.e. Seminal vesiclesMajor contribution to semen is by seminal vesicle, followed by prostatic fluid followed by secretion of bulbourethral glands.